Virulence factor for clostridium tetani ?
1. Endotoxin
2. Tetanolysin
3. Tetanospasmin
4. Bacteremia

Correct answer: 3. Tetanospasmin

Explanation: Ans. is 'c' i.e., Tetanospasmin Pathogenicity of CI tetani Cl. tetani has little invasive property and is confined to the primary site of lodgment. Tetanus results from the action of the potent exotoxin it produces. Toxins of CI tetani 1) Tetanolysin (Hemolysin) Not relevant in the pathogenesis of tetanus. 2) Tetanospasmin (neurotoxin) Responsible for tetanus It is plasmid coded In the brainstem and spinal cord it blocks release of the inhibitory neurotransmitter glycine and 'yaminobutyric acid (GABA). It resembles strychnine in its effects, but it acts presynaptically, while strychnine acts postsynaptically. o Tetanus toxin and botulinum toxin resemble each other in their aminoacid sequences. 3) Nonspasmogenic, peripherally active neurotoxin Its role is not known